PAP smear is used for screening of Cervical cancer. It is classified under which level of prevention:-
1. Primary
2. Secondary
3. Tertiary
4. Primordial

Correct answer: 2. Secondary

Explanation: Screening & diagnostic tests comes under Secondary level of prevention. Secondary prevention - It halts the progress of disease at its incipient stage and prevent complication. Level Aim Modes Primordial prevention Prevention of emergence of development of risk factors Health education Primary prevention Action taken prior to the onset of disease Health promotion specific protection Secondary prevention Action which halts the progress of a disease Early diagnosis and treatment, Screening programmes Tertiary prevention Measures to reduce impairments and disabilities Disability limitation, Rehabilitation